Behaviour therapy is useful in -a) Psychosisb) OCDc)  Personality disorderd)  Panic attacke) Anxiety
1. bce
2. abd
3. bcde
4. acde

Correct answer: 3. bcde

Explanation: Most important use of behavioral therapy:- Phobia & OCD.
Other uses are:- Other anxiety disorders (including panic), eating disorders, Autism, ADHD, some personality disorders, sexual dysfunctions, depression.